Under FSS act, non-vegetarian Foods containing only eggs are labeled with What color mark ?
1. Green
2. Yellow
3. Orange
4. Brown

Correct answer: 4. Brown

Explanation: As per act, any food containing egg is treated as non-vegetarian food "Non- Vegetarian Food" means an article of food which contains whole or part of any animal including birds, fresh water or marine animals or eggs or products of any animal origin, but excluding milk or milk products, as an ingredient; Every package of "Non-Vegetarian" food shall bear a declaration to this effect made by a symbol and colour code as stipulated below to indicate that the product is Non-Vegetarian Food. The symbol shall consist of a brown colour filled circle inside a square with brown outline Ref -